Visual impairments in pterygium is due to -
1. Astigmatism
2. Myopia
3. Hypermetropia
4. Hazy cornea

Correct answer: 1. Astigmatism

Explanation: Visual disturbances occur when pterygium encroches the pupillary area or due to corneal astigmatism induced due to fibrosis in the regressive stage. Reference : Khurana 7th edition, page : 89